Telecanthus means -
1. Widened interpupillary distance
2. Widened root of nose with normal interpupillary distance
3. Widely separated medial orbital wall
4. Widely separated nose and medial canthi

Correct answer: 2. Widened root of nose with normal interpupillary distance

Explanation: Telecanthus- consists of increased distance between the medial canthi due to abnormally long medial canthal tendons. Inter pupillary distance is normal. It should not be confused with hypertelorism in which there is wide bony separation of the orbits. Inter pupillary distance is increased. Ref: kanski's 8th edition, page no. 59